If the objective of the investigator is to assess the incidence of tuberculosis infection in a community, the most appropriate methodology would be to
1. Identify all individuals with positive tuberculin test
2. Identify new converters to Tuberculin test
3. Perform sputum examination of chest symptomatics
4. Screen all under-five children with Tuberculin test

Correct answer: 2. Identify new converters to Tuberculin test